"Nerve terminals release chemicals"-discovered by
1. Dale
2. Withering
3. Domagk
4. Langley

Correct answer: 1. Dale

Explanation: It was discovered in 1914 by Henry Hallet Dale. Acetylcholine was confirmed as a neurotransmitter by Otto Loewi. Ref : guyton and hall textbook of medical physiology 12 edition page number:675,676,677